Abdominal Aortic Aneurysm most commonly ruptures in
1. Retroperitoneum
2. Pelvic cavity
3. Peritoneal cavity
4. Sub hepatic space

Correct answer: 1. Retroperitoneum

Explanation: Abdominal aortic aneurysm - anterior(20%) Posterior (80%) Most common site- retroperitonium with formation if retroperitonial hematoma. Reference- SRB, 5th edition, page:200